In case of the maxillary arch, if the torus is present, but must not be removed, which of the following major connector should be indicated:
1. Horseshoe.
2. Closed horseshoe.
3. Anteroposterior palatal bar.
4. All of the above.

Correct answer: 4. All of the above.